Screen films differ from non-screen films by that:
1. They are more sensitive to light than x rays
2. They are more sensitive to X-rays than light
3. They are usually used in intra oral radiography
4. They do not need intensifying screens

Correct answer: 1. They are more sensitive to light than x rays